Mercedes Benz sign is seen in:
1. Gall stone
2. Bladder stone
3. Renal stones
4. Foreign body bronchus

Correct answer: 1. Gall stone

Explanation: ANSWER: (A) Gall stoneREF: Suttons textbook of radiology, 7th edition, volume 1 page 713 Mercedes Benz sign/Seagull sign/Crow feet sign:Gall bladder stone if radiopaque has a stellate faceted appearance with gas containing fissures on the plain radiograph and is called as Mercedes Benz sign/Seagull sign or Crowr feet sign